The newborn heart rate is about –
1. 120 – 160/min
2. 160 – 180/min
3. 180 – 200/min
4. 200 – 220/min

Correct answer: 1. 120 – 160/min